A cyst can be differentiated from granuloma by
1. Radiopaque dyes
2. Polyacrylamide gel electrophoresis
3. Biopsy
4. All of the above

Correct answer: 4. All of the above